Baclofen is used in the treatment of ?
1. Schizophrenia
2. Depression
3. Anxiety
4. Spasticity

Correct answer: 4. Spasticity

Explanation: Ans. is 'd' i.e., Spasticity